Biopsy in PAN shows:
1. Necrotizing arteritis
2. Atrophy
3. Granulomatous lesion
4. Ring lesion

Correct answer: 1. Necrotizing arteritis

Explanation: Answer is A (Necrotizing arteritis): PAN is characterized by necrotizing vasculitis of small and medium sized muscular arteries. The vascular lesion in PAN is necrotizing inflammation of small and medium sized muscular arteries.